A 40 year old male patient on long term steroid therapy for systemic disease, presents with recent onset of severe pain in the right hip. Imaging modality of choice for this problem is-
1. CT scan
2. Bone scan
3. MRI
4. Plain X-ray

Correct answer: 3. MRI

Explanation: Long term steroid therapy for systemic disease + severe pain in the right hip = AVASCULAR NECROSIS IOC for Avascular Necrosis: MRI Snow cap sign on plain radiograph: AVN of humerus or femur head Figure: snow cap sign due to AVN of humerus head